The type of suture represented by sagittal suture of the cranial vault is
1. Serrate
2. Denticulate
3. Squamous
4. Plane

Correct answer: 1. Serrate

Explanation: The joints in the skull are mostly sutures.
Various types of sutures in the skull are,

Plane suture - Eg. Internasal suture, mid palatal suture.
Serrated suture - Eg. Sagittal and coronal suture (interparietal suture).
Denticulate suture - Tooth like projections. Eg. Lambdoid suture.
Squamous suture - Eg. Parieto-temporal suture.